90% of bladder cancer arise from -
1. Squamous cells
2. Glandular cells
3. Transitional cells
4. Smooth muscle cells

Correct answer: 3. Transitional cells

Explanation: Ans. is 'c' i.e., Transitional cells There are three common histological types of bladder cancer :-a) Transitional cell carcinama (TCC)~90%b) Squamous cell carcinona (SCC)~5 -10%c) Adenocarcinoma~2%